"Snowman" sign is seen in:
1. TGV
2. TOF
3. TAPVC
4. Aortic dissection

Correct answer: 3. TAPVC

Explanation: C i.e., TAPVC